A 15 year old boy complains of jerky movements which gets precipitated during awakening in the morning.
There is no history of loss of conciousness. EEG showed 4-6 / second spike and wave pattern. What is the child suffering from
1. Lennox Gestaut syndrome
2. Juvenile Myoclonic Epilepsy
3. Rolandic epilepsy
4. West syndrome

Correct answer: 2. Juvenile Myoclonic Epilepsy

Explanation: Juvenile Myoclonic Epilepsy

Seen in adolescence age group
Myoclonic jerks seen in morning
EEG: 4-6 / seconds spike and wave pattern.